Ectocervix is lined by:
1. Non-ciliated columnar epithelium
2. Stratified squamous epithelium
3. Ciliated columnar epithelium
4. Cuboidal epithelium

Correct answer: 2. Stratified squamous epithelium

Explanation: Epithelium of cervixThe epithelium of the cervix is varied.The ectocervix (more distal, by the vagina) is composed of nonkeratinized stratified squamous epithelium.The endocervix (more proximal, within the uterus) is composed of simple columnar epithelium.